Venous thrombi embolize most commonly to:
1. Heart
2. Lung
3. Brain
4. Kidneys

Correct answer: 2. Lung

Explanation: Ans. Lung